Asthma - spirometry features are
1. FEV (upward Arrow)
2. FEV 1 /FEV ratio (downward arrow)
3. PEF (upward Arrow)
4. RV (downward arrow)

Correct answer: 2. FEV 1 /FEV ratio (downward arrow)

Explanation: In asthma,FEV will be decreased with decreased FEV1/FVC ratio.RV will be increased due to exaggerated airway closure at low lung volumes,and this elevation of RV reduces FVC.Peak flow meter shows reduced PEF.A diurnal variation in PEF of more than 20% is considered diagnostic of asthma. Reference:Harrison's medicine-18th edition,page no:2094;Davidson's medicine-22nd edition,page no:668.